All except one are true regarding medial longitudinal fasciculus
1. MLF connects cranial nerve nuclei of oculomotor, trochlear, and abducens nerve.
2. It integrates movements directed by gaze centers and information about head movement
3. MLF is found on each side of brainstem near midline ,dorsal to periaqueductal grey matter
4. Ascending MLF arises from superior and medial vestibular nucleus- vestibulo-ocular reflex

Correct answer: 3. MLF is found on each side of brainstem near midline ,dorsal to periaqueductal grey matter

Explanation: MLF is located ventral to periaqueductal grey matter.